A lady with 10-12 wks pregnancy develops acute retention of urine. The likely cause is-
1. Retroverted uterus
2. Urinary tract infection.
3. Prolapse uterus
4. Fibroid

Correct answer: 1. Retroverted uterus

Explanation: Ans. is 'a' Retroverted uterus (Ref Dutta, 6/e, p 311 (5/e, p. 322, 4/e, p 322)]Both fibroid and retroverted uterus can cause acute retention of urine during early pregnancy.But retroverted uterus will be the more correct option as it is common during pregnancy.Other factors which can cause retention of urine in pregnancy -* So prolapse uterus and UTI will not cause retention of urine instead they cause stress incontinence and frequency of micturition respectively.